Lymphatic drainage of Vulva is into ?
1. Obturator nodes
2. Internal iliac nodes
3. Superficial inguinal nodes
4. Paraaortic nodes

Correct answer: 3. Superficial inguinal nodes

Explanation: Ans. is 'c' i.e., Superficial inguinal nodes Lymphatics of Vulva drain primarily into superficial inguinal lymph nodes and subsequently to deep inguinal and external iliac ndes. Lymphatics of Clitoris primarily drain into deep inguinal nodes.